Telmisartan lowers blood pressure by -
1. Inhibiting formation of angiotensin I to angiotensin II
2. Inhibiting conversion of renin to angiotensin I
3. Blocking ATI receptors
4. Interfering with degradation of bradykinin

Correct answer: 3. Blocking ATI receptors

Explanation: Ans. is 'c' i.e., Blocking ATI receptors ACE inhibitors : Captopril, enalapril, lisinopril, ramipril, perindopril, imidapril, trandopril, benazepril, fosinopril. Ren in inhibitors : Aliskiren, remikiren, enakiren. ATI blockers : Losartan, candesartan, irbesartan, valsartan, telmisartan.